Which of the following tests are used in the evaluation of a suspected CSF leak?
1. Beta 2 microglobulin
2. Beta 2 transferrin
3. Tyroglobulin
4. Transthyretin

Correct answer: 2. Beta 2 transferrin

Explanation: Detection of beta-2 transferrin is considered part of standard evaluation when CSF leak is suspected. Nasal and ear fluids are tested for detection of the beta-2 transferrin band by immunofixation electrophoresis (IFE) or Western blot analysis as a diagnostic tool for the presence of CSF or perilymph. This test is helpful in the differential diagnosis for CSF otorrhoea or CSF rhinorrhoea. The beta-2 transferrin band has not been detected in multiple fluids including serum, ear fluid, nasal secretions, saliva, tears or endolymph, indicating the specificity of the slower beta-2 transferrin isoform for CSF.